The following affects the duration of action of Local Anesthesia, except
1. Protein binding capacity of Local Anesthetic
2. Addition of vasoconstrictor
3. Vasodilator activity of Local Anesthetic
4. Non-nervous tissue diffusibility

Correct answer: 4. Non-nervous tissue diffusibility